A middle aged person presented with the complaints of fear of leaving home, fear of travelling alone and fear of being in a crowd. He develops marked anxiety with palpitations and sweating, if he is in these situations. The most likely diagnosis is:
1. Generalized anxiety disorder
2. Schizophrenia
3. Personality disorder
4. Agoraphobia

Correct answer: 4. Agoraphobia

Explanation: Ans. D. AgoraphobiaAgoraphobia fear or avoidance of places like crowds, public places, being outside alone, public transportation, from which escape would be difficult in the event of panic symptoms.Treatment includes:Pharmacotherapy -Benzodiazepines, SSRIs, TCAsPsychotherapy -Supportive, Insight-oriented, Behavior, Cognitive and Virtual therapyOther types of phobia:Claustrophobia: Fear of closed spacesAerophobia: Fear of flyingXenophobia: Fear of strangers